All of the following are common causes of epidemic after a disaster except -
1. Leptospirosis
2. Rickettsia
3. Leishmaniasis
4. Acute respiratory infections

Correct answer: 3. Leishmaniasis

Explanation: After a disaster many disease can occur through infection through water, food, vector and due to improper sanitation. Dengue fever, leptospirosis, typhus and plagues are some of them. Flood water provide ample breeding opportunities for mosquito.REF. PARK'S TEXTBOOK OF PREVENTIVE AND SOCIAL MEDICAL 21ST EDITION. PAGE NO - 739)